Fast breathing in less than 2 month child the respiratory rate is
1. 60 breaths per minute
2. 50 breaths per minute
3. 40 breaths per minute
4. 30 breaths per minute

Correct answer: 1. 60 breaths per minute

Explanation: A. i.e. (60 breaths per minute) (144- Park 19th) (154- Park 20th)* FAST BREATHING is present when the respiratory rate is- 60 breaths per minute or more in a child less than 2 months of age- 50 breaths per minute or more in a child aged 2 months upto 12 months- 40 breaths per minute or more in a child aged 12 months upto 5 years.